Heimlich manoeuvre is indicted for:-
1. Near drowning
2. Wet drowning
3. Choking
4. Gagging

Correct answer: 3. Choking

Explanation: Heimlich manoeuvre is a first aid procedure used to treat choking or upper airway obstructions by foreign objects. The term Heimlich manoeuvre is named after Dr. henry Heimlich.